Which drug increase the bone formation in osteoporosis?
1. Teriparatide
2. Risedronate
3. Calcitonin
4. Denosumab

Correct answer: 1. Teriparatide

Explanation: * Increased bone formation: Parathyroid hormone, Teriparatide, Fluoride* Decreased bone resorption: Bisphosphonates, calcitonin, denosumab, estrogen * Drug performing both the action: Strontium